It is true regarding endemic typhus that ?
1. Man is the only reservoir of infection
2. Flea is a vector for the disease
3. The rash developing into eschar is a characteristic presentation
4. Culture of the etiological agent in tissue culture is a diagnositc

Correct answer: 2. Flea is a vector for the disease

Explanation: Ans. is 'b' i.e., Flea is a vector for the disease . Endemic typhus is transmitted by the rat flea. . Rats are the major reservoir . There is no eschar in endemic typhus Diagnosis is made by serological test (IFA) or PCR amplification of R typhi DNA from blood -